Recommended daily dose of Iodine in a child is:
1. 120-200 mg
2. 90-120 mg
3. 30-60 mg
4. 500 mg

Correct answer: 2. 90-120 mg

Explanation: b. 90-120mg(Ref: Nelson's 20/e p 2663)The recommended dietary allowance of iodine is 30mg/kg/24hr for infants, 90-120mg/24hr for children, and 150mg/24hr for adolescents and adults.